If a mother is donating her kidney to her son- This is an example of
1. Isograft
2. Allograft
3. Autograft
4. Xenograft

Correct answer: 2. Allograft

Explanation: Ans. (b) AllograftRef: Surgery Sixer 3rd Edition Page 142Types of Graft:* Allograft: An organ or tissue transplanted from one individual to another* Isograft: Organs transplanted between identical twins and are immunologically indistinguishable* Autograft: Organ or tissue transplanted within same individual, e.g. skin graft, bone graft and free flap* Xenograft: A graft performed between different species